Pyruvate kinase is inhibited by ?
1. Insulin
2. Fructose -1,6 bisphosphate
3. ATP
4. All of the above

Correct answer: 3. ATP

Explanation: Ans. is 'c' i.e., ATPPyruvate Kinase enzyme catalyzes conversion of PEP to pyruvate.Pyruvate kinase is an inducible enzyme that increases in concentration with high insulin level and decreases with glucagon.It is activated by fructose-1,6 bisphosphate and inactivated by ATP and alanine.